The best way of diagnosing Trisomy 21 during second trimester of pregnancy is:
1. Triple marker estimation
2. Nuchal skin fold thickness measurement
3. Chorionic villus sampling
4. Amniocentesis

Correct answer: 4. Amniocentesis

Explanation: The main use is in diagnosing chromosomal disorders like trisomy 21.Amniotic fluid cells are cultured and karyotyping done,which may take up to 3 weeks (refer pgno:502 sheila textbook of obstetrics 2 nd edition)